All of the followings are true about Narcolepsy; except:
1. Strong association with HLA class II
2. Sudden loss of voluntary muscle tone
3. NREM abnormality
4. Irresistible desire to sleep

Correct answer: 3. NREM abnormality

Explanation: NARCOLEPSY Narcolepsy is a condition characterized by excessive sleepiness, as well as auxiliary symptoms that represent the intrusion of aspects of REM sleep into the waking state . The sleep attacks of narcolepsy represent episodes of irresistible sleepiness, leading to perhaps 10 to 20 minutes of sleep. They can occur at inappropriate times (e.g., while eating, talking, or driving and during sex). The REM sleep includes hypnagogic and hypnopompic hallucinations, cataplexy, and sleep paralysis. Diagnosis-* polysomnographic - reveals a characteristic sleep-onset REM period * HLA ASSOCIATION - HLA - DR2